Most common neonatal disorder screened is:
1. Neonatal hypothyroidism
2. Neonatal hyperthyroidism
3. Hemoglobinopathies
4. Congenital Dislocation of Hip

Correct answer: 1. Neonatal hypothyroidism

Explanation: Most common neonatal disorder to be screened is Neonatal hypothyroidism (NNH) Blood sample is collected from Cord's Blood /fromheel prick after 24hrs of birth Test- measurement of T4 or TSH /both simultaneously. As a single method, T4 is more useful (greater precision and reproducibility) Congenital Hypothyroidism is one of the most common preventable cause of intellectual disability. Hence, neonatal screening & early supplementation of thyroid hormones can prevent this intellectual disability.